Acts passed before 1980, except:
1. Factories Act
2. Employees' State Insurance Act
3. Workmen's Compensation Act
4. Mental Health Act

Correct answer: 4. Mental Health Act

Explanation: Ans. Mental Health Act